The uterine part of uterine tube opens at the superior angle of the uterine cavity by ?
1. Isthmus
2. ostium
3. plexus
4. Fold

Correct answer: 2. ostium

Explanation: The uterine or intramural or interstitial part of the tube is about 1 cm long and lies within the wall of the uterus. It opens at the superior angle of the uterine cavity by a narrow uterine ostium. This ostium Is about 1 mm in diameter. Ref : B D Chaurasia's Human Anatomy , Seventh Eedition , Volume 2 , Pg. no.,417.